The cytoprotective agent used for the prevention of xerostomia in patients undergoing head and neck radiotherapy is
1. Valacyclovir
2. Amifostine
3. Glycopyrrolate
4. Naproxen

Correct answer: 2. Amifostine